Not intravenous Anaesthetic agent –
1. Ketamine
2. Thiopentone
3. Etomidate
4. Cyclopropane

Correct answer: 4. Cyclopropane

Explanation: Ketamine, thiopentone, etomidate are intravenous anaesthetic agents. Cyclopropane is an inhalational (volatile) anaesthetic agent.